The mandibular distal extension RPD extends up to
1. Full length of Retromolar pad
2. Anterior one third length of retromolar pad
3. Anterior 2/3 rd of Retromolar pad
4. None of above

Correct answer: 3. Anterior 2/3 rd of Retromolar pad